Condyloma accuminatum is caused by:
1. HSV
2. HPV
3. HIV
4. VZV

Correct answer: 2. HPV

Explanation: Ans. b. HPV